The form of THF used in treatment is :
1. N5 formyl THF
2. N5 methyl THF
3. N10 formyl THF
4. N5 formimino THF

Correct answer: 1. N5 formyl THF

Explanation: N5 Formyl THFA/ Folinic acid has high stability so it is used therapeutically. Extra reading : N5 Formyl THFA/ Folinic Acid (5-formyl tetrahydrofolic acid or leucovorin) is necessary co-factor in the body (an essential B vitamin). Commercially available leucovorin is composed of a 1:1 racemic mixture of the dextrorotary and levorotary isomers, while levoleucovorin contains only the pharmacologically active levo-isomer. Uses : 1. to counteract the toxic effects of folic acid antagonists, such as methotrexate (inhibits DHFR) 2. in the treatment of megaloblastic anemias due to folic acid deficiency